Best way to diagnose lower small intestine obstruction is
1. Pain abdomen
2. Profuse bilious vomiting
3. Multiple air fluid levels
4. Feculent vomiting

Correct answer: 3. Multiple air fluid levels

Explanation: In erect abdominal x-ray of small intestine obstruction, multiple air fluid levels seen.